Acanthamoeba keratitis is:
1. Allergic reaction to tuberculoprotein
2. Seen in contact lenses users
3. Lesion of herpes zoster
4. Seen in congenital syphilis

Correct answer: 2. Seen in contact lenses users

Explanation: Ans: B i.e. Seen in contact lenses users Keratitis Phylctenular keratitis is an allergic reaction to an endogenous allergen, commonly tuberculoprotein Acanthamoebic keratitis occurrence is frequently associated with wearing of soft contact lenses. It has also been seen to occur in non-contact lens wearers & may be related to swimming or bathing in contaminated water Larger discoid lesions of herpes zoster are known as 'nummular' keratitis Interstitial keratitis due to inherited syphilis most commonly affects children between the ages of 5 & 15 years